What is the exact number of solutes transported in thick ascending limb of Henle loop each carrier pump?
1. Transports one Na2+, one K+, & two Cl-.
2. Transports two Na2+, two K+, & two Cl-.
3. Transports two Na2+, one K+, & two Cl-.
4. Transports threeNa2+, two K+, & two Cl-.

Correct answer: 1. Transports one Na2+, one K+, & two Cl-.

Explanation: Transports one Na2+, one K+, & two Cl-.REABSORPTION IN THICK ASCENDING LIMB:Sodium, Potassium & Chloride reabsorption:By "Secondary active transport" -Through Na2+-K+-2Cl-- carrier transporter.Transports one Na2+, one K+, & two Cl-.Active sodium absorption occurs.30% filtered Na2+ reabsorbed